Which of the following is the most significant factor for development of gastric carcinoma?
1. paneth cell metaplasia
2. Pyloric metaplasia
3. Intestinal metaplasia
4. Ciliated metaplasia

Correct answer: 3. Intestinal metaplasia

Explanation: There are some conditions of pre-malignant changes in the gastric mucosa which have increased risk to the development of gastric cancer: I) hypo- or achlorhydria in atrophic gastritis of gastric mucosa with intestinal metaplasia. ii)Adenomatous (neoplastic) polyps of the stomach. iii)Chronic gastric ulcer (ulcer-cancer), and its association with achlorhydria. iv) Stump carcinoma in patients who have undergone partial gastrectomy. TEXTBOOK OF PATHOLOGY 6TH EDITION HARSH MOHAN PAGE NO:555